All of the following statements about Diploic veins are true, except:
1. Develop around 8th week of gestation
2. These have no valves (valveless)
3. Present in cranial bones
4. Have a thin wall lined by a single layer of endothelium

Correct answer: 1. Develop around 8th week of gestation

Explanation: Diploic veins develop after birth and are not visible before 3 years of life. They fully develop only by 15 years of age. Ref: Freyschmidt's "Koehler/Zimmer" Borderlands of Normal and Early Pathologic By Jurgen Freyschmidt, Page 370; Atlas of Vascular Anatomy: An Angiographic Approach By Uflacker, 2nd Edition, Page 71; Tutorials in Endovascular Neurosurgery and Interventional Neuroradiology By James Vincent Byrne, Page 59; Atlas of Neuroradiologic Embryology, Anatomy and Variants By J. Randy Jinkins, Page 388